Which of the following virus is labile to acid but heat stable?
1. Human entero virus serotype 70
2. Human entero serotype 68
3. Echo virus
4. Rhino virus

Correct answer: 4. Rhino virus

Explanation: Rhino virus is the most common virus which cause common cold .It is destroyed at ph 3 -5 -acid labile but heat stable Ref: Baveja 5th ed Pg: 461